To which lymph nodes, the lymph from the umbilicus drain -
1. Axillary and inguinal
2. External and internal iliac
3. Pre-and para-aortic
4. Inter-aortocaval

Correct answer: 1. Axillary and inguinal

Explanation: The lymph from umbilicus drains into both axillary and inguinal lymph nodes.